The ratio of fat cells and blood cells in bone marrow is-
1. 1:04
2. 1:02
3. 1:01
4. 2:01

Correct answer: 3. 1:01

Explanation: Fat to Cell ratio - in bone marrow should be 1:1 so 1/2 hemopoietic cells and 1/2 are fat cells myeloid: erythroid ratio -in bone marrow -should be 3:1 -an increased ratio is found in infections, chronic myelogenous leukemia, or erythroid hypoplasia.